Glycine can be synthesised from all except
1. Aspartate
2. Alanine
3. Glycoxylate
4. Glutamate

Correct answer: 1. Aspartate

Explanation: Glycine can be formed from Serine which can be reversibly formed from Alanine.Glycine aminotransferase can catalyze the synthesis of glycine from glyoxylate and glutamate or alanine. This reaction strongly favours synthesis of glycineRef: DM Vasudevan - Textbook of Biochemistry, 7th edition, page no: 210